Microalbuminuria is defined as protein levels of
1. 30-300 mg/d
2. 151-200 mg/d
3. 100-150 mg/d
4. 301-600 mg/d

Correct answer: 1. 30-300 mg/d

Explanation: • The earliest manifestation of diabetic nephropathy is the appearance of low amounts of albumin in the urine (>30 mg/day, but <300 mg/day), that is, microalbuminuria.
• Microalbuminuria is also a marker for greatly increased cardiovascular morbidity and mortality for persons with either type 1 or type 2 diabetes